Which is not a poxvirus-
1. Vaccinia virus
2. Molluscum contagiosum
3. Tanapox virus
4. Coxsackie virus

Correct answer: 4. Coxsackie virus

Explanation: Ans. is 'd' i.e., Coxsackie virus o Poxviruses are the largest viruses with largest genome. o Poxviridae has been classified into two subfamilies -i) Chordopoxvirinae: Poxviruses of vertebrates.ii) Entomopoxvirinae: Poxviruses of insects which do not infect vertebrates, o Chordopoxvirinae are classified into six genera or subgroups -i) Orthopoxvirus: These are mammalian poxviruses that tend to cause generalized infection with rash. Exmples are variola (smallpox virus), vaccinia, cowpox, monnkeypox, rabbitpox, buffalopox, camelpox, mousepox.ii) Parapoxvirus: Viruses of ungulates that may occasionally infact human, eg. Orf (contagious pustular dermatitis) and paravaccinia (milker's node, bovine pupular stomatitis).iii) Copripoxvirus: Viruses of goat and sheeps, eg. sheep-pox, goatpox, lumpy skin disease.iv) Leporipox virus: Viruses of of leporids (rabbits, hares, squirrels), e.g. myxoma and fibromas.v) Avipoxvirus: Virus of birds, eg. fowlpox, turkeypox, pigeonpox, canarypox.vi) Suipoxvirus: Virus of swine, eg. swinepox.